Lice are not the vectors of :
1. Relapsing fever
2. Q fever
3. Trench fever
4. Epidemic typhus

Correct answer: 2. Q fever

Explanation: LICE(Singular Louse): wingless insects, also known as 'Fly babies' Lice as the vectors of disease: Diseases transmitted byy lice Causative agent Epidemic typhus Rickettsia prowazekii Relapsing fever Borrelia recurrentis Trench fever Rickettsia quintana Dermatitis Due to scratching & secondary infection Ref: Park 25th edition PGno: 814